Pleural reflection on left mid axillary line is in the following intercostal space ?
1. 5th
2. 6th
3. 8th
4. 10th

Correct answer: 4. 10th

Explanation: The lines, which indicate the limits of the parietal pleura where it lies close to the body surface, are referred to as the lines of pleural reflection. The lower border of the pleura on both sides follows a curved line, which crosses the 8th rib in the midclavicular line and the 10th rib in the mid axillary line, and reaches the 12th rib adjacent to the vertebral column-that is, at the lateral border of the erector spinae spinae muscle.